.Bad trips is seen in
1. flunitrazepam
2. LSD
3. .toluene
4. anabolic androgenic steroids

Correct answer: 2. LSD

Explanation: Hallucinogens * ALSO CALLED AS Psychotomimetic/ Psychedelic * FIRST Man made HALLICINOGEN ==================== Albert Hoffman * MECHANISM OF ACTION Lysergic acid diethylamide=======serotonin * Introduced by Albert Hoffmann and he himself experienced its effects * Phencyclidine =======NMDA antagonist * Also known as angel dust * Related to ketamine=== dissociative anesthetic * Has anti-suicidal property PSYCHIATRIC RELEVANCE FLASHBACKS====== person even after weeks of using substance may experience the same hallucinations BAD TRIPS====== bad experiences during intoxication of the substance They tend to see hallucinations and monsters and are threatened by the images Ref.kaplon and Sadock, synopsis of psychiatry, 11 th edition, pg no.649